Which among the following is the best method to assess intake of fluid in poly trauma patient:
1. Urine output
2. CVP
3. Pulse rate
4. BP

Correct answer: 1. Urine output